McBurney's point corresponds to which part of appendix:
1. Tip
2. Base
3. Orifice
4. Mid portion

Correct answer: 2. Base

Explanation: Base